RNA can is detected by
1. Southern Blot Technique
2. Northern Blot Technique
3. Western Blot Technique
4. South-Western Blot Technique

Correct answer: 2. Northern Blot Technique

Explanation: Northern blot: A method for transferring RNA from an agarose or polyacrylamide gel to a nitrocellulose or nylon filter, upon which the RNA can be detected by a suitable probe by base-specific hybridization.Southern blot: A method for transferring DNA from an agarose gel to nitrocellulose filter, on which the DNA can be detected by a suitable probe (eg, complementary DNA or RNA).Western blot: A method for transferring protein to a nitrocellulose filter, on which the protein can be detected by a suitable probe (eg, an antibody).Southwestern blot: A method for detecting protein-DNA interactions by applying a labeled DNA probe to a transfer membrane that contains a renatured protein.Ref: Harper 30e, Page no: 469